Copper T is ideally inserted at-
1. Just before menstruation
2. On the 26th day
3. Just after menstruation
4. On the 14th day

Correct answer: 3. Just after menstruation

Explanation: Ans. is 'c' i.e., Just after menstruation Timing of insertion Although the loop can be inserted at almost anytime during a woman's reproductive years (except during pregnancy), the most propitious time for loop insertion is during mensturation or within 10 days of the beginning of a menstural period. o During this period, insertion is technically easy because the diameter of the cervical canal is greater at this time than during the secretory phase. o The uterus is relaxed and myometrial contractions which might tend to cause expulsion are at a minimum. o In addition, the risk that a woman is pregnant is remote at this time.